Which of the following iron therapy is associated with highest risk of anaphylasis?
1. Ferric carboxy maltose
2. Iron dextran
3. Ferrous sulphate
4. Ferrous Fumarate

Correct answer: 2. Iron dextran

Explanation: Anaphylasis is common with Iron dextran.